Minimum quantity of filtered Na actually excreted is by which of the following diuretie-
1. Furesemide
2. Thiazide
3. Amiloride
4. Acetazolamide

Correct answer: 3. Amiloride

Explanation: Ans. is 'c' i.e., Amiloride Urinary electolyte pattern and natriuretic efficacy of some diuretics Urinary electrolyte excretionMax. % of filteredNa+ excretedEfficacyDiureticNa+K+Cl-HCO-31. Furosemide|||||||,-25%High2 Thiazide|||||8%Intermediate3. Acetazolamide||||,-||5%Mild4. Spironolactone|||-,|3%Low-5. Amiloride|||-,|3%Low6. Mannitol|||||20%Higho From the table it is clear that maximum amount of filtered Na actually excreted is by furosemide (25%) and minimum amount is by spironolactone and amiloride (3%).